All of the following are true for Sjogren syndrome except:
1. May be associated with other autoimmune diseases
2. Excessive salivation
3. Immunologically mediated disease
4. Commonly associated with rheumatoid arthritis

Correct answer: 2. Excessive salivation

Explanation: Ans. B: Excessive salivationSjogren's syndrome is a chronic systemic disorder of idiopathic origin characterized by three major compo-nents:Keratoconjunctivitis siccaXerostomia andPolyarthritis of rheumatoid origin occurring predominantly in women over forty years.There is immunologically mediated destruction of the lacrimal and salivary gland.It may occur as an isolated disorder or may be associated with another autoimmune disorder.The first person to associate dryness of mouth and conjunctiva due to diminution of salivary and lacrimal gland secretion was Fuchs.The syndrome in its present form was es-tablished by Sjogren in 1933.